In a patient with acute arsenic poisoning, which of these would show accumulation of As
1. Liver
2. Bone marrow
3. Skin
4. All

Correct answer: 4. All

Explanation: A i.e. Liver; B i.e. Bone marrow; C i.e. Skin The disadvantages of using As for homicide are As accumulates in liver > kidney > spleen, hair, nailQ, bonesQ, gastrointestinal tract & lungs and also excreted through urine, faeces, milk, bile sweat & other secretions. It retards putrefactionQ & can be detected in completely decomposed bodies or charred bones & ashes, as heat does not destroys itQ Poisoning Colour of Hair & Skin (As) Arseniuretted - Yellow colour of skin, hair & Hydrogen mucous membraneQ - Milk rose (Brownish pigmentation)Q Cu - Jaundiced skin - Green - Blue skin, hair & perspirationQ - Green - Purple line of gums'-